First flouride varnish discovered in Europe has what percentage of NaF
1. 2.26%
2. 5%
3. 8%
4. 10%

Correct answer: 2. 5%